Ludwigs angina usually begins in ?
1. Submandibular space
2. Sublingual space
3. Parotid space
4. Retropharyngeal space

Correct answer: 1. Submandibular space

Explanation: Ans. is 'a' i.e., Submandibular space Ludwig's angina is a rapidly spreading bilateral cellulitis that involves the floor of mouth, under the tongue. Floor of mouth is comprised of sublingual space, submandibular space and submental space. Ludwig's angina usually begins in the submandibular space, and then rapidly spreads to involve the subligual space, usually on a bilateral basis. Most common cause is infection of the root of the teeth (Dental infection), especially 2nd and 3nd mandibular molar. Other causes are mouth injury, mandibular fracture, and submandibular sialadenitis.